Histopatholoty of a lung cancer shows 'clara cells' probable diagnosis is -
1. Squamous cell cancer
2. Bronchio alveolar cancer
3. Large cell cancer
4. Papillary carcinoma

Correct answer: 2. Bronchio alveolar cancer

Explanation: Ans. is 'b' i.e., Bronchio alveolar cancer "Ultrastructurally bronchoalveolar carcinoma are a heterogenous group, consisting of mucin secreting bronchiolar cells clara cells or rarely type II penumocytes".